The fraction of O2 in inspired air in mouth-to-mouth respiration is
1. 0.16
2. 0.19
3. 0.21
4. 0.26

Correct answer: 1. 0.16

Explanation: The concentration of O2 in the expired air is 16%. That air is is transferred by mouth to mouth respiration.